Causes of DIC include:
1. Leukemia
2. Masive transfusion
3. Abruptio placentae
4. All of the above

Correct answer: 4. All of the above

Explanation: Answer is D (All of the above) DIC may be associated with all of the options provided in the question. Common Clinical causes of Disseminated Intravascular Coagulation: Sepsis Bacterial Staphylococci, streptococci, pneomococci, meningococci, gram-negative bacilli Viral Mycotic Parasitic Rickettsial Immunologic disorders Acute hemolytic transfusion reaction Organ or tissue transplant rejection Graft-versus-host disease Trauma and tissue injury Brain injury (gunshot) Extensive burns Fat embolism Rhabdomyolysis Vascular disorders Giant hemangiomas (Kasabach-Merrit syndrome) Large vessel aneurysms (eg. Aorta) Obstetric complications Abruptio placentas Amniotic fluid embolism Dead fetus syndrome Septic abortion Cancer Adenocarcinoma (prostate, pancreas etc) Hematologic malignancies (acute promyelocytic leukemia) Drugs Fibrinolytic agents Aprotinin Warfarin (especially in neonates with protein C deficiency) Prothrombin complex concentrates Reactional drugs (amphetamines) Evenomation Snake Insects Liver disease Fulminant hepatic failure Cirrhosis Fatty liver of pregnancy Miscellaneous Shock Respiratory distress syndrome Masive trasnfusion